Health indicator characteristics include all except:-
1. Validity
2. Reliability
3. Affordability
4. Feasibility

Correct answer: 3. Affordability

Explanation: Characteristics of ideal health indicator : Validity: actually measures what it is supposed to measure Reliability: Reproducible results if measured by different persons Objectivity: Independent of subjects perception Sensitivity: Sensitive to change in situations Specificity: Reflect changes only in the situations concerned with that indicator Feasibility: Practical possibility of obtaining the necessary data Relevancy: Contribution to understanding the phenomenon of interest